Which of the following binds to the Tyrosine kinase receptor?
1. LH
2. Insulin
3. TSH
4. TRH

Correct answer: 2. Insulin

Explanation: Hormones That Use Receptor Tyrosine Kinase Signaling Growth hormone Insulin Leptin Prolactin Growth factors